All true about Cis-ATRACURIUM except
1. It is pure Cis isomer of atracurium
2. It is more potent than atracurium
3. It is also causes histamine release like atracurium
4. Metabolism similar to atracurium

Correct answer: 3. It is also causes histamine release like atracurium

Explanation: Cisatracurium is pure cis isomer of atracurium. It is more potent and has longer onset time than atracurium. Metabolism is similar to atracurium. It releases less histamine than atracurium. Cisatracurium does not cause histamine release unlike atracurium. Cisatracurium produces laudanosine but is about five times lesser than that of atracurium. Cisatracurium is a stereoisomer of atracurium that is four times more potent. Cisatracurium undergoesHofmann Eliminationwhich is a spontaneous non-enzymatic organ-independent degradation. So its clearance is independent of renal function. Hence it is theagent of choice in renal failure patients.